Risk factors associated with development of Gout all except
1. Female sex
2. Alcohol
3. Thiazide
4. High fructose intake

Correct answer: 1. Female sex

Explanation: Gout is an inflammatory disease caused by depositionof monosodium urate monohydrate crystals in andaround synovial joints. Causes of hyperuricaemia and gout Diminished renal excretion* Increased renal tubular reabsorption** Renal failure* Lead toxicity* Lactic acidosis* Alcohol* Drugs-Thiazide and loop diuretics,Low-dose aspirin,Ciclosporin,Pyrazinamide Increased intake* Red meat* Seafood* Offal Over-production of uric acid* Myeloproliferative and lymphoproliferative disease* Psoriasis* High fructose intake* Glycogen storage disease* Inherited disordersLesch-Nyhan syndrome (HPRT mutations)Phosphoribosyl pyrophosphate synthetase 1 mutations REF:DAVIDSON'S PRINCIPLES AND PRACTICE OF MEDICINE 22nd EDITION PAGE NO 1087